Which of the following is the most ionizing radiation –
1. Alpha
2. Beta
3. X-rays
4. Gamma

Correct answer: 1. Alpha

Explanation: Alpha rays have maximum ionizing potential